Constituents of black gun powder is all EXCEPT:
1. Charcoal
2. KNOB
3. Lead peroxide
4. Sulphur

Correct answer: 3. Lead peroxide

Explanation: C i.e. Lead Peroxide Smokeless gun powder is composed of nitrocellulose & nitroglycerineQ. Smoke producing black gun powder contains "PCS" i.e. potassium nitrate charcoal and sulfurQ. It is described as FG, FFG, FFFG depending on the fineness (F)/size of grain (G).